Tourette syndrome is a type of ?
1. Tic disorder
2. Intellectual disability disorder
3. Seizure disorder
4. None of the above

Correct answer: 1. Tic disorder

Explanation: Ans. A. Tic disorderTourette syndrome (also called Tourette's syndrome, Tourette's disorder, Gilles de la Tourette syndrome, GTS or, more commonly, simply Tourette's or TS) is an inherited neuropsychiatric disorder with onset in childhood, characterized by multiple physical (motor) tics and at least one vocal (phonic) tic.Average onset between the ages of 3 and 9 years.Males are affected about three to four times more often than females.Common associations are ADHD and OCD.